Tall 'T' waves are seen in: (Repeat)
1. Hyperkalemia
2. Hypocalcemia
3. Hypercalcemia
4. Hypokalemia

Correct answer: 1. Hyperkalemia

Explanation: Ans: A (Hyperkalemia) Ref: Harrison 's Principles of Internal Medicine, 18ed.Explanation:ECG changes in HyperkalaemiaTall T waves (Earliest sign)Prolonged PR intervalWidened QRS intervalFlattened P wavesArrythmias including bradycardia, ventricular tachycardia or fibrillationSinus arrest or nodal rhythm with possible asystoleECG changes in HypokalaemiaFlattened T wavesST segment depressionProlonged QT intervalTall U wavesAtrial arrythmiasVentricular tachycardia or ventricular fibrillation